True about aspiration pneumonia
1. Affected by volume of aspiration
2. Affected by pH of aspiration fluid
3. TIncidence during induction
4. All

Correct answer: 4. All

Explanation: All i.e. A, B, C